Edrophonium test is helpful in diagnosing
1. Marcus gunn jaw winking ptosis
2. myasthenia gravis
3. Blepharophismosis syndrome
4. parkinson's

Correct answer: 2. myasthenia gravis

Explanation: Ref: HL Sharma 3rd ed pg no: 142 edrophonium is very short acting which helps in differentiating myasthenia and cholinergic crisis